Abnormality involving which chromosome is seen in Hunter disease?
1. X chromosome
2. Y chromosome
3. Chromosome 21
4. Chromosome 22

Correct answer: 1. X chromosome

Explanation: a. X chromosome(Ref: Ghai 9/e p 640 9/e p 640)All types of mucopolysaccharidoses have autosomal recessive inheritance except Hunter disease, which is X linked recessive.